A part of adjacent intestine will be removed in:
1. Enterogenous cyst
2. Chylolymphatic cyst
3. Dermoid cyst
4. Mesothelial cyst

Correct answer: 1. Enterogenous cyst

Explanation: Enterogenous Cyst Derived either from a diverticulum of the mesenteric border of the intestine or from a duplication of the intestine. Thicker wall than a chyloymphatic cyst and it is lined by mucous membrane, sometimes ciliated. Content is mucinous and is either colorless or yellowish brown as a result of past hemorrhage. Muscle in the wall of an enteric duplication cyst and adjacent bowel has a common blood supply. Removal of the cyst always entails resection of the related portion of intestine.